Capacitance of sperms takes place in
1. Seminiferous tubules
2. Epididymis
3. Vas deference
4. Uterus

Correct answer: 4. Uterus

Explanation: Sperm is the male reproductive cell in the sexual reproduction. Capacitation is the penultimate step in the maturation of mammalian spermatozoa and is required to render them competent to fertilize an oocyte. This step is a biochemical event; the sperm moves normally and looks mature prior to capacitation. In vivo, this step typically occurs after ejaculation, in the female reproductive tract. Ref: Ganong's review of medical physiology; 24th edition; page no:-422